The changes occuring in the disease frequency over many years is called
1. Cyclic trend
2. Seasonal trend
3. Secular trend
4. None of the above

Correct answer: 3. Secular trend

Explanation: . long term or secular trends implies changes in the occurrence of disease over a long period of time.generally several years or decades.a secular trend implies a consistent tendency to change in a particular direction or a definitive movement in one direction. ref:park's textbook,ed 22,pg no 63